Phocomelia is
1. Absence of long bones
2. Absence of brain
3. Reduplication of bones
4. Absence of heart

Correct answer: 1. Absence of long bones

Explanation: Phocomelia is absence of long bones It occurs due to thalidomide consumption during pregnancy